Middle meningeal artery passes from ?
1. Foramen ovale
2. Foramen spinosum
3. Foramen lacerum
4. Incisive foramen

Correct answer: 2. Foramen spinosum

Explanation: Foramen spinosum